All are true about culture media except:
1. The best medium for anaerobes is chocolate agar
2. LJ medium is used for tubercle bacilli
3. Blood agar supports fastidious organisms
4. Loeffler's serum slope is used for Corynebacterium diphtheriae

Correct answer: 1. The best medium for anaerobes is chocolate agar

Explanation: Ans- A The best medium for anaerobes is chocolate agar Ref: Anantha Narayan, Paniker CJ. Textbook of Microbiology. 8th Edition. London: John Wiley & Sons: 2009. Pg. 47 Explanation: Anaerobic culture medium Commonly used anaerobic culture media are: Robertson's cooked meat medium. It consists of fat-free minced cooked meat in broth, with a layer of sterile vaseline over it. It permits the growth of even strict anaerobes and indicates their saccharolytic or proteolytic activities, by the meat being turned red or black, respectively. Thioglycollate broth with lie min and vitamin K is an enriched liquid medium for culturing anaerobes. Addition of a small quantity of agar enhances the anaerobic capacity of the medium by slowing the diffusion of oxygen in it. Broth containing fresh animal tissue, such as rabbit kidney, spleen, testes or heart, supports the growth of many anaerobes. E.g. Smith- Noguchi medium Reduction of oxygen in the medium for anaerobic culture can be achieved by the use of various reducing agents, including 1 % glucose. 0.1 deg0 thioglycollates. 0.1 % ascorbic acid and 0.05% cysteine. For fastidious anaerobes, pre-reduced media and an anaerobic chamber ('glove box') may be used.